In glutathione which amino acid is reducing agent?
1. Glutamic acid
2. Cysteine
3. Glycine
4. Alanine

Correct answer: 2. Cysteine

Explanation: -Glutathione is a tripeptide (Gamma Glutamic acid +Cysteine + Glycine)- Gamma glutamyl cysteinyl Glycine-Atypical peptide bond is present between Gamma Glutamic acid and cysteine.